Respiratory distress syndrome in the newborn is commonly associated with the following conditions except :
1. Diabetic pregnancy
2. Prematurity
3. Following an elective cesarean section
4. Intrauterine growth retardation

Correct answer: 4. Intrauterine growth retardation

Explanation: Intrauterine growth retardation